Inclusion body in psittacosis is called as
1. HP body
2. Miyagawa corpuscles
3. Negri bodies
4. Levinthal cole lillie bodies

Correct answer: 4. Levinthal cole lillie bodies

Explanation: Psittacosis is a disease of parrots and other psittacine birds,transmissible to humans caused by chlamydia psittaci, These levinthal Cole Lillie or LCL bodies(Inclusion bodies)are shown by infected cells of chlamydia,mouse brain,yolksac and cell cultures...these aid in lab diagnosis of psittacosis patients...these differ from C.trachomatis inclusion bodies in being more diffuse and irregular,not stained by iodine Ref:Ananthnarayan and paniker's microbiology 10th edition